The long term objective of national programme for prevention and control of deafness is:-
1. To reduce disease burden by 25% by end of XII five year plan
2. To reduce disease burden by 50% by end of XII five year plan
3. To reduce disease burden by 75% by end of XII five year plan
4. To reduce disease burden by 100% by end of XIIfive year plan

Correct answer: 1. To reduce disease burden by 25% by end of XII five year plan

Explanation: Long term objective: To reduce disease burden by 25% by end of XI five year plan. National programme for prevention and control of deafness: OBJECTIVES :1. To prevent avoidable hearing loss on account of disease or injury.2. Early identification, diagnosis and treatment of ear problems responsible for hearingloss and deafness.3. To medically rehabilitate persons of all age groups, suffering with deafness.4. To strengthen the existing inter-sectoral linkages for continuity of the rehabilitationprogramme, for persons with deafness.5. To develop institutional capacity for ear care services by providing support forequipment, material and training personnel. Long term objective: To prevent and control major causes of hearing impairment anddeafness, so as to reduce the total disease burden by 25% of the existing burden by the endof 12th Five Year Plan